Glucose levels in gingival crevicular fluid (GCF) are:
1. Equal to glucose level in serum
2. Zero
3. 3-4 times greater than serum levels
4. More than 10 times the serum Levels

Correct answer: 3. 3-4 times greater than serum levels